Human communicating nerve is found in which organ
1. Brain
2. Eye
3. Larynx
4. Ear

Correct answer: 3. Larynx

Explanation: LarynxThe internal branch of the superior laryngeal nerve is joined to the recurrent laryngeal nerve by a communication called the ramus communicans of "Loop of Galen".The "human communicating nerve" is an anastomosis between the external branch of the SLN and the distal RLN. Approximately 70% of human larynges have this anastomosis. The human communicating nerve may contain both sensory innervation to the larynx and motor innervation to the thyroarytenoid muscle.